How would diagnosis of Agoraphobia be made?
1. Patient has panic attack when left alone
2. Patient will have fear if she is in open space
3. She would be able to get into lift alone
4. She complaints of Insomnia

Correct answer: 2. Patient will have fear if she is in open space

Explanation: (B) Patient will have fear if she is in open space # AGORAPHOBIA is an anxiety disorder which primarily consists of the fear of certain settings that may present unexpected challenges or demands. These include parking lots, shopping malls or restaurants. Social consequences of having a panic attack or losing control in public often becomes an additional source of fear in its own right. As a result, severe sufferers of agoraphobia may become confined to their homes, experiencing difficulty traveling from this 'safe place'. Sufferer becomes uneasy in environments that are unfamiliar or where he/she perceives that he or she has little control. Triggers may include crowds, wide open spaces or traveling alone even for short distances. Anxiety is often compounded by a fear of social embarrassment in case of panic attacks or appearing distraught in public. Phobic DisordersFear of Situation or ObjectsPhobias* Dread of Open spaceAgoraphobia* Dread of Vehicles* Dread of FloodsAmaxophobiaAntlophobia* Dread of Confinement* Dread of Being locked inClaustrophobiaCleithrophobia* Dread of Dogs* Dread of Sexual intercourse or STDCynophobiaCypridophobia* Dread of Drinking* Dread of Surgical operationDipsophobiaErgasiophobia* Dread of Marriage* Dread of FoodGamophobiaGatophobia* Dread of Writing* Dread of WomenGraphophobiaGynophobia* Dread of SunHeliophobia Phobic Disorders* Dread of StealingKleptophobia* Dread of SpeakingLalophobia* Dread of RabiesLyssophobia* Dread of PregnancyMaieusiophobia* Dread of CorpseNecrophobia* Dread of OdoursOsmophobia* Dread of EatingSitophobia* Dread of TuberculosisPhthisiophobia* Dread of ChokingPnigophobia* Dread of FirePyrophobia* Dread of ColdPsychrophobia* Dread of DevilSatanophobia* Dread of DeathThanatophobia* Dread of Being Buried aliveTaphephobia* Dread of GodTheophobia* Dread of StrangersXenophobia